In urinary system disease, GI symptoms appears because of-
1. Chemical reaction
2. Renogastric reflex
3. Peritoneal reaction
4. Reflux phenomenon

Correct answer: 2. Renogastric reflex